Test to differentiate staphylococci from micrococci:
1. Catalase test
2. Coagulase test
3. Novobiosin sensitivity
4. Oxidation fermentation

Correct answer: 4. Oxidation fermentation

Explanation: Oxidation fermentation REF : ananthanarayana 10th ed